‘Burning Sole Syndrome’ is seen in deficiency of
1. Pantothenic acid
2. Pyridoxine
3. Riboflavin
4. Vitamin B12

Correct answer: 1. Pantothenic acid

Explanation: • Pantothenic acid is required by adrenal cortex.
• Pantothenic acid deficiency was thought to be cause of 'Burning Feet/Sole Syndrome' among PoW in WW II.